An example for disclosing solution is
1. Chlorhexidine
2. Mercurochrome preparations
3. Quaternary Ammonium compound
4. Sorbitol

Correct answer: 2. Mercurochrome preparations